Which of the following is an example of Type IV hypersensitivity -
1. Arthrus reaction
2. Serum sickness
3. Shwartzman reaction
4. Granulomatous reaction

Correct answer: 4. Granulomatous reaction

Explanation: Type IV hypersensitivity reaction is tissue injury by T cell-mediated immune response without the formation of antibodies. It is a slow and prolonged response. The granulomatous reaction in tuberculosis and leprosy are examples of type IV hypersensitivity reaction. Reference: Harsh moMohanextbook pathology, 7th edition, pg no: 61